Occlusion of which artery would result in insufficient perfusion of the urinary bladder:
1. Internal iliac
2. External iliac
3. Renal
4. Suprarenal

Correct answer: 1. Internal iliac

Explanation: Internal iliac